Most common cause of suprasellar enlargement with calcification in children is –
1. Craniopharyngioma
2. Astrocytoma
3. Meningioma
4. Suprasellar tuberculoma

Correct answer: 1. Craniopharyngioma

Explanation: "Presence of Suprasellar midline calcification immediately suggests the diagnosis of craniopharyngioma". Craniopharyngioma is the most common cause of suprasellar calcification.